Which malocclusion will not lead to straining of Lips?
1. Class - II Div. 1
2. Class-II Div. 2
3. Bimaxillary protrusion
4. None

Correct answer: 2. Class-II Div. 2